A 26–year–old male, Vikas presents to OPD complaining of hair loss and itching on scalp. Physical examination reveals moderate patchy hair loss from the central portion of the scalp and the lesions have a ring-like configuration with central clearing. Which of the following drugs can be used to treat this patient's condition?
1. Local glucocorticoids
2. Progesterone
3. Finasteride
4. Terbinafine

Correct answer: 4. Terbinafine